A 40-year male presented to the ER with bleeding diathesis. He was diagnosed with Glanzmann thrombasthenia. The disorder is believed to be due to absence of a particular platelet receptor protein. Which of the following drug acts as an anti-platelet agent by inhibiting the same platelet receptor protein?
1. Ticlopidine
2. Tirofiban
3. Cilostazol
4. Dipyridamole

Correct answer: 2. Tirofiban

Explanation: Glanzmann thrombasthenia is a qualitative platelet disorder due to absence of glycoproteins GPIIb/IIIa. Antiplatelet drugs acting by inhibition of GP IIb/IIIa are Abciximab Eptifibatide Tirofiban Other antiplatelet agents Aspirin: irreversible inhibition of cyclooxygenase leading to reduced synthesis of thromboxane A2 Clopidogrel, prasugrel and ticlopidine: blockade of platelet aggregation by ADP pathway by blocking P2Y12 receptors. Dipyridamole and cilostazol: inhibition of cGMP phosphodiesterase pathway